Posterior relation of neck of pancrease ?
1. Gastroduodenal artery
2. Superior mesenteric vein
3. Inferior vena cava
4. Bile duct

Correct answer: 2. Superior mesenteric vein

Explanation: Posterior surface of neck is related to termination of superior mesenteric vein and its combination with splenic vein to form portal vein.